The prerequisites for internal rotation of the head all are except
1. Well flexed head
2. Efficient uterine contraction
3. Favourable shape of pelvis
4. Tone of abdominal muscles

Correct answer: 4. Tone of abdominal muscles

Explanation: Tone of abdominal muscles doesnot correspond to internal rotation of head